Full form of ASHA -
1. Associate social health activist
2. Accredited social health activist
3. Advanced social health activist
4. Assistant social health activist

Correct answer: 2. Accredited social health activist

Explanation: Ans. is 'b' i.e.. Accredited social health activist Accredited Social Health Activist (ASHA)o ASHA is the central component of the National Rural Health Mission (NRHM)o National Rural Health Mission (NRHM) wras launched to address the health needs of rural population, especially the vulnerable sections of societyo One of the key components of the National Rural Health Mission is to provide every- village in the country with a trained female community health activist - 'ASHA' or Accredited Social Health Activist. Selected from the village itself and accountable to it, the ASHA will be trained to wrork as an interface between the community and the public health system.Following are the key components of ASHA:o ASHA must primarily be a woman resident of the village - married.' widowed' divorced, preferably in the age group of 25 to 45 years.o She should be a literate woman with formal education up to class eight. This may be relaxed only if no suitable person with this qualification is available.o ASHA will be the first port of call for any health related demands of deprived sections of the population, especially women and children, who find it difficult to access health sendeeso ASHA will be a health activist in the community wrho will create awareness on health and its social determinants and mobilize the community towards local health planning and increased utilization and accountability of the existing health sendees. She wrould be a promoter of good health practices,o She will counsel women on birth preparedness, importance of safe delivery, breastfeeding and complementary feeding, immunization, contraception and prevention of common infections including Reproductive Tract Infection/Sexually Transmitted Infection (RTIs/STIs) and care of the young childo She will arrange escort/accompany pregnant wromen & children requiring treatment' admission to the nearest pre- identified health facility i.e. Primary Health Centre'1'Community Health Centre/First Referral Unit(PHC/CHC TRU). o ASHA will provide primary medical care for minor ailments such as diarrhoea, fevers, and first aid for minor injuries. She will be a provider of Directly Observed Treatment Short-course (DOTS) under Revised National Tuberculosis Control Programmeo She will also act as a depot holder for essential provisions being made available to every habitation like Oral Rehydration Therapy (ORS), Iron Folic Acid Tablet (IFA), chloroquine. Disposable Delivery Kits (DDK), Oral Pills & Condoms, etc. A Drug Kit will be provided to each ASHA.o The general norm will be 'One ASHA per 1000 populationIn tribal, hilly, desert areas the norm could be relaxed to one ASHA per habitation, dependant on workload etc.o ASHA wrould be an honorary volunteer and would not receive any salary or honorarium. Her work wroutd be so tailored that it does not interfere with her normal livelihood.